White infract is seen in
1. Lung
2. Intestine
3. Heart
4. Ovary

Correct answer: 3. Heart

Explanation: ref Robbins 8/e p674; 9/e p134,664-665 White infarcts occur with arterial occlusions in solid organs with end-arterial circulations (e.g., heart, spleen, and kidney), and where tissue density limits the seepage of blood from adjoining patent vascular beds (Fig. 3-17, B). Infarcts tend to be wedge-shaped, with the occluded vessel at the apex and the organ periphery forming the base (Fig. 3-17); when the base is a serosal surface, there is often an overlying fibrinous exudate. Lateral margins may be irregular, reflecting flow from adjacent vessels. The margins of acute infarcts typically are indistinct and slightly hemorrhagic; with time, the edges become better defined by a narrow rim of hyperemia attributable to inflammation. Infarcts resulting from arterial occlusions in organs without a dual circulation typically become progressively paler and sharply defined with time (Fig. 3-17, B). By comparison, hemorrhagic infarcts are the rule in the lung and other spongy organs (Fig. 3-17, A). Extravasated red cells in hemorrhagic infarcts are phagocytosed by macrophages, and the heme iron is converted to intracellular hemosiderin.